which of following SSRI is used in the management of Pre mature ejaculation
1. citalopram
2. milnacipran
3. Dapoxetine
4. clozapine

Correct answer: 3. Dapoxetine

Explanation: SSRI * IMPORTANCE Most widely prescribed antidepressant * MECHANISM Specifically acts on serotonin transporters and increases serotonin in synapse. DRUGS FLUOXETINE FLUVOXAMINE DAPOXETINE CITALOPRAM ESCITALOPRAM ESCITALOPRAM SERTRALINE PAROXETINE USE FLUOXETINE=============CHILDHOOD DEPRESSION FLUVOXAMINE===========OCD DAPOXETINE==============PME ESCITALOPRAM===========HEART SAFE, PATHOLOGICAL EMOTIONS PAROXETINE=========SEDATING, PANIC DISORDER IMPULSE CONTROL DISORDERS PME PARAPHILIA REf. kaplon and Sadock, synopsis of psychiatry, 11 th edition, pg no. 955